The most infectious variety of diptheria is -
1. Anterior nasal diptheria
2. Posterior nasal diptheria
3. Faucial diptheria
4. Laryngeal diptheria

Correct answer: 1. Anterior nasal diptheria